Inhibition of placental Alkaline Phosphatase by Phenylalanine is an example of
1. Competitive Inhibition
2. Noncompetitive inhibition
3. Uncompetitive Inhibition
4. Allosteric Inhibition

Correct answer: 3. Uncompetitive Inhibition

Explanation: Placental (PLAP) and germ-cell (GCAP) alkaline phosphatases are inhibited uncompetitively by L-Leu and L-Phe. Ref: Katzung 12th ed.